Stain with parasite having Charcot-Layden crystals but no pus cells:
1. Giardia
2. Taenia
3. E. histolytica
4. Trichomonas

Correct answer: 3. E. histolytica

Explanation: Ans. is 'c' i.e., E. histolytica(Ref: Harrison, 19th/e, p. 1685; D.R. Arora, 2nd/e, p. 26, 27)* Fecal finding in amoebiasis are:I. Charcot-Leyden crystals.II. Positive test for heme.III. Paucity (lack) of neutrophils (pus cells).